A 35 year old patient complains of abdominal cramps along with profuse diarrhea. The treating physician wants to process the stool specimen for isolation of Campylobacter jejuni. Which of the following is the method of choice for the culture of stool -
1. Culture on TCBS medium incubated at 37°C under aerobic conditions
2. Culture on Skirrow's medium incubated at 42°C under micro-aerophilic conditions.
3. Culture on MacConkey's medium incubated at 42°C under anaerobic contions
4. Culture on Wilson and Blair's medium incubated at 37° under microaerophilic conditions

Correct answer: 2. Culture on Skirrow's medium incubated at 42°C under micro-aerophilic conditions.